Spalding's sign occurs because of
1. Mummification
2. Hanging
3. Maceration
4. Drowning

Correct answer: 3. Maceration